In autonomic nervous system, parasympathetic outflow is mainly by
1. Cholinergic
2. Adrenergic
3. Noradrenergic
4. Histaminergic

Correct answer: 1. Cholinergic